Liver is darkly pigmented in
1. Dubin Johnson syndrome
2. Gilbert syndrome
3. Rotor syndrome
4. Crigler - Najar syndrome

Correct answer: 1. Dubin Johnson syndrome

Explanation: Dubin Johnson syndrome
Autosomal recessive
Liver darkly pigmented.